A 48-yrs-old male alcoholic with cirrhosis has bilateral gynecomastia. Which physical findings has the same pathogenesis as gynecomastia?
1. Caput medusae
2. Asterixis
3. Ascites
4. Spider angioma

Correct answer: 4. Spider angioma

Explanation: Gynecomastia in male cirrhotics is caused by hyperestrinism secondaty to the inability of the liver to metabolize estrogens. Hyperestrinism results in the development of female secondary sex characteristics, palmar erythema, spider angioma, and testicular atrophy caused by decreased testosterone.